Which of the following is most active against both dormant & non-dormant bacilli -
1. Pyrazinamide
2. Rifampicin
3. Streptomycin
4. INH

Correct answer: 2. Rifampicin

Explanation: Ans. is 'b' i.e., Rifampin Isoniazid is bacteriostatic for resting bacilli, but is bactericidal for rapidly dividing microorganisms. o The bactericidal action of rifampicin covers all subpopulations of TB bacilli.